Which of the following drugs in NOT recommended for intracheal administration during cardiopulmonary resuscitation –
1. Atropine
2. Sodium bicarbonate
3. Adrenaline
4. Lignocaine

Correct answer: 2. Sodium bicarbonate

Explanation: Intratracheal drugs during CPR :- Adrenaline, atropine, lignocaine, naloxone.